Reliability of screening test does not mean -
1. Reproducibility
2. Repeatability
3. Validity
4. Precision

Correct answer: 3. Validity

Explanation: Ans. is C Validity Screening test to be applied o The screening test to be applied should fulfill the following important criteria before it is considered suitable for screening : - 1 .Acceptability The test should be acceptable to the people at whom it is aimed. In general painful or embarrassing tests e.g., per rectal or vaginal examination are not likely to be acceptable. 2. Repeatability (reliability) y Repeatability means the test must give consistent results when it is repeated more than once on the same individual under same conditions. y That means the results of the test are precise exact So repeatability is some time called precision, reliability or reproducibility. 3. Validity (accuracy) Validity' refers to what extent the test accurately measures which is purports to measures. That means a valid test distinguish the people who have the disease from those who do not. Validity has components - Sensitivity and specificity. (Sensitivity) (Prevalence) Accuracy =[?][?][?][?][?][?][?][?] (Specificity) (1 -Prevalence) True positive + True negative Accuracy = [?][?][?][?][?][?][?][?] True positive + False positive + True negative + False negative 4. Others # Simplicity' # Rapidity # Ease of administration # Safety' # Lower cost